Flaying is seen in which type of lacerated wound:
1. Split
2. Stretch
3. Avulsion
4. Cut

Correct answer: 3. Avulsion

Explanation: Ans. Avulsion